Vesicoureteric reflux is best demonstrated by:
1. Intravenous pyelography
2. Micturating cystourethrogram
3. Retrograde pyelography
4. Isotope renography

Correct answer: 2. Micturating cystourethrogram

Explanation: Ans. Micturating cystourethrogram